The following serum levels: calcium- 7.8 mg/ dL, 25 hydroxy vitamin D is high, 1 a-hydroxylase levels are low. Which drug shall be the most appropriate for treatment of this condition?
1. Calcitriol
2. Phosphate supplementation
3. Calcifediol
4. Vitamin D3

Correct answer: 1. Calcitriol

Explanation: The above scenario is of vitamin D dependent rickets type 1. VITAMIN D DEFICIENCY RICKETS Autosomal recessive Presents as childhood rickets | Calcium and | activity of 1a hydroxylase Do not respond to conventional doses of vitamin D. Rx- Calcitriol (0.25-0.5 mcg daily).